Lucid interval is seen in ?
1. Extradural hemorrhage
2. Subdural hemorrhage
3. Intracranial hemorrhage
4. Ans. is 'a' i.e., Extradural hemorrhage

Correct answer: 1. Extradural hemorrhage

Explanation: Ans. is 'a' i.e., Extradural hemorrhage